Dementia of Alzheimer's type is not associated with one of the following
1. Depressive symptoms
2. Delusions
3. Apraxia and Aphasia
4. Cerebral infarcts

Correct answer: 4. Cerebral infarcts

Explanation: Dementia is a chronic organic mental disorder, characterized by the following main clinical features: 1. Impairment of intellectual functions, 2. Impairment of memory (predominantly of recent memory, especially in early stages), 3. Deterioration of personality with lack of personal care. Reference: A short textbook of Psychiatry by Niraj Ahuja, page no.22.